Pasteurized milk is most commonly tested by?
1. Phosphatase test
2. Coliform test
3. Catalase test
4. Oxidase Test

Correct answer: 1. Phosphatase test

Explanation: Phosphatase test is conducted on pasteurized milk to detect the presence of heat-labile phosphatase enzyme in pasteurized milk.